After administrative live vaccine, immunoglobulins are given after-
1. 1 week
2. 2 weeks
3. 10 weeks
4. 12 weeks

Correct answer: 2. 2 weeks

Explanation: .live vaccines should not be given for 12 weeks after an injection of normal human immunoglobulin.and if a live vaccine has already be given .NHIg injection sholud be deferred for 2 weeks. ref:park's textbook,ed 22,pg no 102